Which of the following surgery is contraindicated below 12 years of age
1. SMR
2. Septoplasty
3. Antral puncture
4. Rhinoplasty

Correct answer: 1. SMR

Explanation: Submucous Resection Contraindications:- * Patients below 17 years of age (in such cases conservative surgery i.e. septoplasty should be done) * Acute episodes of respiratory infection * Bleeding diathesis * Untreated diabetes or hypertension Ref:- Dhingra 5th edition; pg num:- 423